Bradycardia is common after injection of :
1. Midazolam
2. Succinylcholine
3. Dopamine
4. Isoprenaline

Correct answer: 2. Succinylcholine